Following can be used in the treatment of myoclonic seizures except -
1. Valporate
2. Carbamazepine
3. Topiramate
4. Zonisamide

Correct answer: 2. Carbamazepine

Explanation: Ans. is 'b' i.e., Carbamazepine Drugs used in myoclonic epilepsy o Valproate (DOC) o Topiramate o Clonazepam o Lamotrigine o Felbamate o Zonisamide